True statements of Nova-T
1. Effective for 10 years
2. More copper content
3. More chances of perforation
4. Silver core

Correct answer: 4. Silver core